The protein content of F - 100 diet is:-
1. 0.9 g/100 mL
2. 1.1 g/100 mL
3. 1.2 g/100mL
4. 2.9 g/100 mL

Correct answer: 4. 2.9 g/100 mL

Explanation: Per 100 g of feed: F - 75 F - 75 cereal Based F - 100 catch up Energy 75 kcal 75 Kcal 100 kcal Protein 0.9 1.1 2.9